A 30-year-old lady develops retention of urine in the 2nd trimester. The most probable cause is:
1. Fibroid uterus
2. Bladder neck obstruction due to ovarian cyst
3. Obstruction of uterus
4. Retroverted uterus

Correct answer: 4. Retroverted uterus

Explanation: Ans. is d, i.e. Retroverted uterusRef Dutta Obs. 7/e, p 311, 312In the question:Both fibroid and retroverted uterus can cause acute retention of urine during early pregnancy.But retroverted uterus will be the more correct option as:-It is common during pregnancyoMost common time of occurrence of urinary retention is second trimester - 12 to 16 weeks.Also Know:Other causes of retention of urine in pregnancy:Early pregnancyDuring puerperiumDue to diminished bladder toneRetroverted uterusImpacted pelvic tumor